A woman complains of an offensive fishy smelling yellowish discharge without pruritus. pH of discharge is >4.5. Gram stained vaginal smear shows a reduced number of lactobacilli with large number of Gardnerella vaginalis. What is the best treatment option for this patient?
1. Clinda mycine 300 mg twice daily x7 days
2. Metronidazole 500 mg twice daily x7 days
3. Metronidazole 2 gm as a single dose
4. Metronidazole vaginal gel once a day x7 days

Correct answer: 2. Metronidazole 500 mg twice daily x7 days

Explanation: Ans. is b, i.e. Metronidazole 500mg twice daily x7 daysThis patient has bacterial vaginosis based on following findings:- Offensive fishy smelling vaginal discharge- No pruritis- pH >4.5- Reduced number of lactobacilli- Increased number of GardnerellaMgt = Non pregnant females = 500mg metronidazole twice daily x7 days.Pregnancy-250mg twice a day x7 days.